All of the following are true about achalasia cardia except:
1. Bird beaks appearance
2. Absent air bubble in stomach
3. Decreased lower oesophageal sphincter tone
4. Absent peristalsis in the body of oesophagus

Correct answer: 3. Decreased lower oesophageal sphincter tone

Explanation: Ans: C, Decreased lower oesophageal sphincter toneAchalasia cardiaBarium radiology may show a tapering stricture in the distal oesophagus, often described as a 'bird's beak'. The gastric bubble is usually absent.The physiological abnormalities in achalsia cardia are non-relaxing LOS (lower oesophageal sphincter) and absent peristalsis in the body of the oesophagus.